Cushing syndrome is characterized by all except:
1. DM
2. HT
3. Proximal myopathy
4. None (All are seen)

Correct answer: 4. None (All are seen)

Explanation: Answer is D (None -- All are seen): Cushing's syndrome may be associated with all features mentioned in the question.